Investigution of choice for spinal TB?
1. X-ray
2. CT Scan
3. MRI
4. PET Scan

Correct answer: 3. MRI

Explanation: Ans. is 'c' i.e., MRI